The treatment of hydrocele in children is :
1. Herniotomy
2. Eversion of sac
3. Herniorrhaphy
4. Drainage

Correct answer: 1. Herniotomy

Explanation: A hydrocele is fluid within the remnant processus vaginalis. It is characteristically an oblong, nontender soft mass. It may be around the testicle only (testicular hydrocele), extend up from the testicle into the inguinal region (inguino scrotal hydrocele), or be contained within a segment of the processus adjacent to the spermatic cord (hydrocele of the cord) or communicated with the peritoneal cavity (communicating hydrocele). In general, hydroceles that do not communicate with the peritoneal cavity are physiologic, and the vast majority resolve by 18 months of age. Those that persist after 1 year or those that demonstrate changes in size (communicating hydroceles) should be repaired by herniotomy. Ref :Albanese C.T., Sylvester K.G. (2010). Chapter 43. Pediatric Surgery. In G.M. Dohey (Ed), CURRENT Diagnosis & Treatment: Surgery, 13e.